The most common presentation of adult Rhinosporidiosis is?
1. Halitosis
2. Pain
3. Anosmia
4. Polypoidal mass

Correct answer: 4. Polypoidal mass

Explanation: The most common presentation of adult rhinosporidiosis is the protruding polypoidal mass through the nares and multiple site involvement. In the early stages, the patient may complain of nasal discharge which is often blood tinged and nasal stuffiness. Sometimes, frank epistaxis is the only presenting complaint. In the nose, the disease presents as a leafy, polypoidal mass, pink to purple in colour and attached to the nasal septum or lateral wall. sometimes, it extends into the nasopharynx and may hang behind the soft palate. (Ref: PL DHINGRA diseases of ear, nose and throat, 7th edition, page no 178)